The abundant glycoprotein in the basement membrane and has binding domain for both ECM and cell-surface receptor is
1. Laminin
2. Fibronectin
3. E - cadherins
4. Tenascin

Correct answer: 1. Laminin